Best statistical data diagram to depict incidence change over a period of tissue is
1. Pie char
2. Histogram
3. Scatter diagram
4. Line diagram

Correct answer: 4. Line diagram